Which of the following inhaled occupational pollutant produces extensive nodular pulmonary fibrosis?
1. Silica
2. Asbestos
3. Wood dust
4. Carbon

Correct answer: 1. Silica